Surgery of choice for chronic duodenal ulcer is:
1. Vagotomy + antrectomy
2. Total gastrectomy
3. Truncal vagotomy + pyloroplasty
4. Highly selective vagotomy

Correct answer: 4. Highly selective vagotomy

Explanation: Highly selective Vagotomy Procedure of choice for chronic or intractable duodenal ulcers Division of seromuscular branches with preserved supply of pylorus Nerves of Latarjet supplying the antrum are preserved (and hence gastric motility) Associated with maximum risk of recurrence Minimum morbidity